The center of ossification used as medico-legal evidence for fetal viability:
1. Head of femur
2. Distal end of femur
3. Talus
4. Calcaneum

Correct answer: 3. Talus

Explanation: Ans. Talus